For medical termination of pregnancy, consent is given by-
1. Guardian
2. Concerned lady
3. Both husband and wife
4. Husband of the lady

Correct answer: 2. Concerned lady

Explanation: MTP Act 1971 Upto 12 weeks: opinion of single doctor 12-20 weeks: opinion of two doctors mandatory Consent Only consent of pregnant woman is necessary Consent from husband- not necessary Minor or insane person - consent from guardian required